The most serious alkali burns of the eye are produced by:
1. Strong liquid ammonia
2. Caustic soda
3. Lime
4. None of the above

Correct answer: 1. Strong liquid ammonia

Explanation: Ans. Strong liquid ammonia